Acute onset of anuria in elderly men
1. Bilateral infarction of kidneys
2. Obstructive urinary disease
3. Acute tubular necrosis
4. Acute cortical necrosis

Correct answer: 2. Obstructive urinary disease